Which of the following radiographic presentation cannot be seen in a patient with intussusception?
1. Target sign
2. Corkscrew sign
3. Crescent sign
4. Normal radiograph

Correct answer: 2. Corkscrew sign

Explanation: Radiographic signs of Intussusception: 1. Target sign 2. Crescent sign 3. Absent liver edge sign (also called the absence of the subhepatic angle) 4. Bowel obstruction 5. May have a normal x-ray The corkscrew sign describes the spiral appearance of the distal duodenum and proximal jejunum seen in midgut volvulus. It has been identified as a diagnostic indicator of midgut volvulus. Ref: Oiz-neira CL. The corkscrew sign: midgut volvulus. Radiology. 2007;242 (1): 315-6.